Leydig cells secrete
1. Inhibin
2. MIS
3. Testosterone
4. Androgen binding protein

Correct answer: 3. Testosterone

Explanation: Leydig cells are the cells between the seminiferous tubules of the testis that secrete testosterone.Ref: Ganong's review of medical physiology; 24th edition; page no:-394